Which of the following is a "water scarce disease"?
1. Trachoma
2. Leprosy
3. Rabies
4. Tetanus

Correct answer: 1. Trachoma

Explanation: Many diseases are caused by scarcity of water in enough amount to be able to maintain personal hygiene and cleanliness. These are called water scarce disease or water washed disease. Examples include trachoma, conjunctivitis, lice infestation, scabies, ascariasis etc. Ref: Park, 21st Edition, Page 657.